Increased demand of following occurs In pregnancy except :
1. Folic acid
2. Iron
3. Vit B 12
4. Zinc

Correct answer: 3. Vit B 12

Explanation: Ans. is c i.e. Vitamin B12 Demand of most of the nutrients (macro and micro) increase during pregnancy but there are a few micronutrients whose demands are not increased (or just marginally increased) I Vitamin A * Vitamin C * Vitamin B12deg * Thiamine Riboflavin * Nicotinic acid * Pyridoxine